Which of the following is the preferred route of access for total parenteral nutrition in a patient who requires the same for <14 days and there is otherwise no indication for use of central catheter?
1. Internal jugular vein
2. External jugular vein
3. Periphaeral vein
4. PICC line

Correct answer: 3. Periphaeral vein

Explanation: Ans. is 'c' i.e., Peripheral vein * Following are the recommendations of the route of access for total parental nutrition :Route of access1.8.8In hospital, parenteral nutrition can be given via a dedicated peripherally inserted central catheter as an alternative to a dedicated centrally placed central venous catheter. A free dedicated lumen in a multilumen centrally placed catheter may also be used.1.8.9Administration of parenteral nutrition via a peripheral venous catheter should be considered for patients who are likely to need short-term parenteral nutrition (less than 14 days) who have no need for central access for other reasons. Care should be taken in catheter choice, and in attention to pH, tonicity and long-term compatibility of the parenteral nutrition formulations in order to avoid administration or stability problems.1.8.10Tunnelling subclavian lines is recommended for long-term use (more that 30 days).1.8.11Catheters do not have to be tunnelled for short-term use (less than 30 days).